Exostosis due to repetitive exposure to cold water is common in which part of the temporal bone?
1. Squamous part
2. Tympanic part
3. Ptreous part
4. Mastoid part

Correct answer: 2. Tympanic part

Explanation: Ans. is 'b' i.e., Tympanic part Surfer's ear It is the common name for an exostosis or abnormal bone growth within the external auditory canal. Surfer's ear is not the same as swimmer's ear, although infection can result as a side effect. Irritation from cold wind and water exposure causes the bone surrounding the ear canal to develop lumps of new bony growth which constrict the ear canal. The condition is so named due to its prevalence among cold water surfers. Cold water surfers experience surfer's ear at about six times the rate of warm water surfers. Common site for surfer's ear is external auditory canal. Tympanic part of the temporal bone is a U shaped curved bony plate that forms most of the part of the external auditory canal. Thus exostosis is common in the tympanic part of the temporal bone. Note: Parts of temporal bone are: squamous, tympanic, styloid, petrous, and mastoid.